Which of the following markers is specific for gastro intestinal stromal /tumors (GIST)?
1. CD 117
2. CD34
3. CD23
4. S-100

Correct answer: 1. CD 117

Explanation: Marker in GIST CD117-( c-kit)- 95% CD34-70% Smooth muscle Actin-5%